Contraindication of spinal anaesthesia is –
1. Hypertension
2. Renal disease
3. Clotting disorders
4. Diabetes

Correct answer: 3. Clotting disorders